In a standard deviation of 2, confidence limit is
1. 68.30%
2. 95.40%
3. 99.70%
4. 76.20%

Correct answer: 2. 95.40%

Explanation: (B) 95.4% # In a NORMAL CURVE, the area between one standard deviation on either side of the mean will include 68%, the area between two standard deviations 95.4% and the area between three standard deviations will include 99.7% of the values in the distribution.> In a Normal curve: Area between one standard deviation on either side of the mean (x +- la) will include approximately 68 per cent of the values in the distribution Area between two standard deviations on either side of the mean (~x +- 2a) will cover most of the values, i.e., approximately 95 per cent of the values Area between (x +- 3a) will include 99.7 per cent of the values. These limits on either side of the mean are called 'confidence limits'.